The arithmetical average of a number of observations is called
1. Mean
2. median
3. range
4. All of the above

Correct answer: 1. Mean